Maximum blood flow per 100 gram of organ is seen in
1. Brain
2. Liver
3. Kidney
4. Skeletal muscle

Correct answer: 3. Kidney

Explanation: Organ
Blood flow / 100gm of organ





Kidney
Liver
Brain
Skeletal muscle

400ml / 100gm / min
100ml / 100gm / min
50ml / 100gm / min
2-4ml / 100gm / min